pH 7.24, PaO2 55 mm Hg, PaCO2 55 mm Hg, HCO3 - 30 mEq/L consistent with -
1. Respiratory acidosis
2. Respiratory alkalosis
3. Metabolic acidosis
4. Metabolic alkalosis

Correct answer: 1. Respiratory acidosis